Macula densa is derived from ?
1. Afferent arteriole
2. Efferent arteriole
3. DCT
4. PCT

Correct answer: 3. DCT

Explanation: Ans. is 'c' i.e., DCTThe ascending limb of the loop of Henle proceeds towards its own glomeruluse, so that a portion of the distal convoluted tubule comes to lie very close to the afferent and efferent arterile.The juxtaglomerular apparatus is located at the angle of the afferent and efferent arterioles, where it comes in contact with the distal tubules.It comprises the macula dense, juxtaglomerular (JG cells), and the lacis cellse.The part of the distal tubule which comes in contact with the afferent eaeriole is made of a specialized epithelium called the macula densa Q.The juxtaglomerular (granular) cells are modified smooth muscle cense in the scaly media of the terminal part of the afferent aeriolese.They contain large granules and secrete renine.JG cells are densely innervated by sympathetic nerve terminals and they release renin in response to sympathetic discharge.The lacis cells (extraglomerular mesangial cells) that are located in the angular space between the junction of afferent and efferent arterioles.The lacis cells also contain some renin.